Most common cause of fetal ventriculomegaly is?
1. Arnold Chiari malformation -I
2. Arnold Chiari malformation -II
3. Aqueductal stenosis
4. Dandy Walker malformation

Correct answer: 3. Aqueductal stenosis

Explanation: Ans. is 'c' i.e., Aqueductal stenosis Hydrocephalus is characterized by an increased CSF volume with progressive ventricular dilatation (ventriculomegaly). o Obstructive or noncommunicating hydrocephalus/ventriculomegaly develops most commonly in children because of an abnormality of the aqueduct or a lesion in the 4' ventricle. o Obstruction of the aqueduct is the single most common cause of fetal and neonatal hydrocephalus/ ventriculomegaly. o Nonobstructive or communicating hydrocephalus most commonly follows a subarachnoid hemorrhage, which is usually a result of intraventricular hemorrhage in a premature infant.